Which muscle relaxant increases intracranial pressure?
1. Mivacurium
2. Atracurium
3. Suxamethonium
4. Vecuronium

Correct answer: 3. Suxamethonium

Explanation: (C) Suxamethonium # Suxamethonium chloride (Succinylcholine, Sscoline, or colloquially as Suxa) is a medication widely used in emerger cy medicine and anesthesia to induce muscle relaxation, usually to make endotracheal intubation possible> Side effects:> Side effects include muscle pains, acute rhabdomyolysis with hyperkalemia, transient ocular hypertension and increased ICT, constipation and changes in cardiac rhythm including bradycardia, cardiac arrest, and ventricular dysrhythmias.> In patients with neuromuscular disease or burns, a single injection of suxamethonium can lead to massive release of potassium from skeletal muscles with cardiac arrest.